Extradural hemorrhage test is-
1. NCCT
2. USG
3. Dopplar US
4. X-ray pelvis

Correct answer: 1. NCCT

Explanation: Ans. is 'a' i.e., NCCT * A CT Scan is the best investigation to diagnose suspect intracranial bleedsEpidural hematomaAcute subdural hematomaChronic subdural hematomaContusion/ Parenchymal HemorrhageSubarachnoid hemorrhageRadiologic featuresAcute bulging epidural clot bounded by cranial sutures; lenticular in shapeAcute blood rimming broad region of cerebral convexity, crescentic shape.Hyper -or isodense, unilateral or bilateral, crescentic shapeMultiple, confluent regions of edema intermixed with focal, acute bloodAcute blood lining cortex in subarachnoid space